Knots in umbilical cord
1. Caused by fetal movement
2. Very high risk of still birth
3. Dangerous in Diamniotic twins
4. Always indication for C-section

Correct answer: 1. Caused by fetal movement

Explanation: Knots in umbilical cord are caused by fetal movements.
Common in monoamniotic twins (dangerous). C-section is not indicated always.